A 40 year old male patient complains of diminished vision during night and dryness of eyes. Patient gives history of recurrent bacterial infections. The plasma level of retinol binding protein in this patient will be:
1. Decreased
2. Increased
3. Unchanged
4. Fluctuating

Correct answer: 1. Decreased

Explanation: Night blindness (nyctalopia) is one of the earliest symptoms of vitamin A deficiency. Severe deficiency of vitamin A leads to xerophthalmia. The plasma level of retinol binding protein is decreased in vitamin A deficiency.
Satyanarayana- Biochemistry, 3rd edition, pg-123